Indicator of viral replication in Hepatitis B infection is
1. HbsAg
2. HbeAg
3. IgM anti HBc
4. Anti HBe

Correct answer: 2. HbeAg